Phosphorous 32 emitts
1. Beta particle
2. Alpha particle
3. Neutron
4. X-rays

Correct answer: 1. Beta particle

Explanation: A beta particle also called beta ray or beta radiation is a high-energy,
high-speed electron or positron emitted by the radioactive decay of an atomic nucleus during the process of beta decay.